Staging of ovarian cancer when rectum is involved
1. Stage I
2. Stage 2
3. Stage 3
4. Stage 4

Correct answer: 2. Stage 2

Explanation: -Stage II ovarian cancer: tumor involves one or both ovaries or fallopian tubes with pelvic extension or primary peritoneal cancer. IIA: ovarian tumor involving uterus or fallopian tubes IIB: ovarian tumor involving pelvic intraperitoneal organs ( bladder, rectum or pelvic side walls) Reference : textbook of gynaecology Sheila balakrishnan, 2nd edition, pg no:277